Regarding Chlamydia infection of the eyes, true statement include the following except:
1. Mostly asymptomatic
2. Can be cultured
3. Inclusion conjunctivitis is an acute ocular infection caused by sexually transmitted C. trachomatis strains (usually serovars D through K)
4. Penicillin is the treatment

Correct answer: 4. Penicillin is the treatment

Explanation: Ans (d) Penicillin is the treatment Penicillin is not effective against Chlamydia Drugs effective against Chlamydia include - Tetracycline - Erythromycin - Azithromycin - Sulfonamides - Rifampicin Chlamydia can be cultured, but not in cell free media. In most cases trachoma inflammation undergoes spontaneous resolution and only few cases progress to conjunctival scarring.